Universal precautions to be observed by surgeons for the prevention of hospital acquired HIV infection include the following except
1. Wearing gloves and other barrier precaution
2. Washing hands on contamination
3. Handling sharp instruments with care
4. Preoperative screening of all patients for HIV

Correct answer: 4. Preoperative screening of all patients for HIV

Explanation: Universal  precautions have been drawn up by the CDC in the United States and largely adopted by the National Health Service (NHS) in the UK (in summary):

Use of a full face mask ideally, or protective spectacles;
Use of fully waterproof, disposable gowns and drapes, particularly during seroconversion;
Boots to be worn, not clogs, to avoid injury from dropped sharps;
Double gloving needed (a larger size on the inside is more comfortable);
Allow only essential personnel in theatre;
Avoid unnecessary movement in theatre;
Respect is required for sharps, with passage in a kidney dish;
A slow  meticulous  operative  technique  is  needed  with minimised bleeding.

Key Concept:
Universal precautions do not include the preoperative screening of patients for HIV.
Reference: Bailey & Love’s short practice of surgery , 27th  ed page no 52